A 5 year lod child is assessed to have developmental age of one year. His developmental patient would be
1. 100
2. 80
3. 20
4. 60

Correct answer: 3. 20